The following Rosette cataract is seen with:
1. Steroid induced cataract
2. Traumatic cataract
3. Syndermatotic cataract
4. Rose thorn injury to lens

Correct answer: 2. Traumatic cataract

Explanation: Ans. (b) Traumatic cataract.